Anti-nuclear antibodies are not found in:
1. SLE
2. Sarcoidosis
3. Diffuse Scleroderma
4. Drug induced lupus

Correct answer: 2. Sarcoidosis

Explanation: ANTI-NUCLEAR ANTIBODY Robbins 9th/218-19

ANAs are directed against several nuclear antigens and can be grouped into four categories:(l) antibodies to DNAP (2) antibodies to histones, (3) antibodies to nonhistone proteins bound to RNA, and (4) antibodies to nucleolar antigens.
Several techniques are used to detect ANAs. Clinically the most commonly used method is indirect immunofluorescence, which detects a variety of nuclear antigens, including DNA, RNA, and proteins (collectively called generic ANAs).

Table (Harrison): Antinuclear Antibody (ANA) Patterns and Clinical Associations